All are usuful in acute appendicitis except -
1. Antibiotics
2. Analgesics
3. IV Fluids
4. Purgation

Correct answer: 4. Purgation